RCM is caused by all except?
1. Fatty infiltration of myocardium
2. Amyloidosis
3. Ergotamine
4. Carcinoid syndrome

Correct answer: 1. Fatty infiltration of myocardium

Explanation: Causes of Restrictive Cardiomyopathy: Amyloidosis Hemochromatosis Fabry's disease Glycogen storage disease (II, III) Radiation Scleroderma Tropical Endomyocardial Fibrosis Hyper-eosinophilic syndrome (Loffler's endocarditis) Carcinoid syndrome Radiation Drugs: e.g., serotonin, Ergotamine